Glycine present in all except:
1. Glutathione
2. Creatine
3. Glutamine
4. Purine nucleotide

Correct answer: 3. Glutamine

Explanation: GLYCINE Smallest & simplest amino acid use hrt (1) Glutathione synthesis (glutamate glycine & cysteine) (2) Creatine synthesis (arginine & glycine and methionine) (3) Serine synthesis - non essential amino acid (4) Purine ring (5) Heme synthesis (glycine and succinyl CoA) (6) Conjugation reactions - two reactions A - The bile acids-cholic acid and chenodeoxy cholic acid-are conjugated with glycine B - glycine is important for detoxification of benzoic acid Glutamine - Ammonia is temporarily stored in the form of glutamine